Colposcopy can visualize the all structures EXCEPT
1. Vulva
2. Vagina
3. Cervix
4. Endometrium

Correct answer: 4. Endometrium

Explanation: (Endometrium) (447-49-Shaw's Nth)COLPOSCOPY - uses in integrated screening programme of cervical cancer world overINDICATIONS - Diagnostic screening procedures are* Abnormal pap smear of cervix* Abnormal areas on the vagina and preoperative assessment in early stages of cancer cervix* Abnormal vulval area* Locate the abnormal areas and biopsyApplications of colposcopy in clinical practice